A 32 year old pregnant woman presents with 36 week pregnancy with complaints of pain abdomen and decreased fetal movements. Upon examination PR= 96/min, BP = 156/100 mm Hg, FHR = 128 bpm. On per-vaginum examination there is altered blood seen and cervix is soft 1 cm dilated. What is the preferred management?
1. Tocolytics
2. Induce labour
3. Immediate LSCS
4. Wait and watch

Correct answer: 2. Induce labour

Explanation: This appears to be a case of abruption with a normal fetal heart rate. The patient should be induced to expedite delivery with a strict watch over maternal vitals and fetal heart rate